Complete failure of Mullerian duct fusion will result in:
1. Uterus didelphys
2. Arcuate uterus
3. Subseptate uterus
4. Unicornuate uterus

Correct answer: 1. Uterus didelphys

Explanation: In uterus didelphys there is complete lack of fusion of Mullerian ducts with a double uterus, double cervix, and a double vagina. Ref: Shaw's Textbook of Gynaecology, 12th Edition, Page 62 ; Textbook of Gynecology By D C Dutta, 4th Edition, Page 42